What is not seen in middle 3rd fracture in face -
1. Face lengthening
2. Face shortening
3. Teeth malocclusion
4. CSF rhinorrhea

Correct answer: 2. Face shortening

Explanation: Face shortening is not seen in the fracture of the middle third of the face. Clinical features Malocclusion of teeth with anterior open bite Elongation of the midface Mobility in the maxilla CSF rhinorrhoea The cribriform plate is injured in Le Fort II and Le Fort III fractures. ( Ref: Textbook of diseases of ENT, PL Dhingra, 7th edition, pg no. 207)